Aging is most probably due to:
1. Non random mutation in somatic cells
2. Decrease in collagen cross linkage
3. Increase in superoxidase dismutase
4. Accumulated free radical injury in tissue

Correct answer: 4. Accumulated free radical injury in tissue

Explanation: Accumulated free radical injury in tissue